Drug of first line choice in pregnancy with epilepsy except :
1. Carbamazepine
2. Lamotrigine
3. Levitiracetam
4. Sodium valproate

Correct answer: 4. Sodium valproate

Explanation: Considering the risk of teratogenicity of all Anti epileptic drugs Lamotrigine Levetiracetam Carbamazepine is the drug of first line choice Ref: Dutta Obs 9e pg 273.